All are true regarding case fatality rate except -
1. Represents killing power of disease
2. Closely related to virulence
3. Very useful for chronic disease
4. May vary in different epidemic for same disease

Correct answer: 3. Very useful for chronic disease

Explanation: ref: Park's 23rd edition pg 58 used for acute infectious diseases like food poisoning, cholera, measles.